A 20 years old football player received a hard kick in the epigastrium. A large cystic swelling appeared in the epigastrium two weeks later. The most likely diagnosis is -
1. Hydatic cyst of liver
2. Amoebic liver abscess
3. Pseudopancreatic cyst
4. Haematoma of rectus sheath

Correct answer: 3. Pseudopancreatic cyst